Agonal period is the duration between
1. Death and postmortem examination
2. Lethal trauma upto death
3. Traumatic event and starting of the operation
4. Traumatic event and information given to the relatives

Correct answer: 2. Lethal trauma upto death

Explanation: AGONAL PERIOD:- It is the time between a lethal occurrence and death. Ref:- k s narayan reddy; pg num:-142